In DIC, which is/are seen -a)  Normal APTTb)  Increased PTc) Increased factor VIII d)  Decreased fibrinogene)  Decreased platelets
1. abc
2. ade
3. ace
4. bde

Correct answer: 4. bde

Explanation: Laboratory fmdings in DIC :         

Low platelet count.
Blood film shows microangiopathic haemolytic anaemia. There is presence of fragmented R.B.C. due to damage caused by trapping and passage through fibrin thrombi.
PT, thrombin time, and Activated Partial thromboplastin time all are prolonged.
Plasma fibrinogen level decreased.
Fibrin degradation product (FDPS) are raised.
Factor V and factor VIII decreased in concentration.